10-days rule is related to
1. Radiation protection in pregnancy
2. Air quality
3. Water quality
4. Sewage disposal

Correct answer: 1. Radiation protection in pregnancy